All form right heart border EXCEPT?
1. Right ventricle
2. IVC
3. Right atrium
4. SVC

Correct answer: 1. Right ventricle

Explanation: BORDERS OF HEART
• Right border (slightly convex): formed by the right atrium, SVC, and the IVC.
• Left border (nearly horizontal): formed by the left ventricle and slightly by the left auricle.
• Inferior border (oblique, nearly vertical), formed mainly by the right ventricle and slightly by the left ventricle.
• Superior border: formed by the right and left atria and auricles in an anterior view